Suction pressure should not exceed ----- of Hg, while suctioning the airway of neonates during neonatal resuscitation:-
1. 50 mm
2. 80 mm
3. 100 mm
4. 130 mm

Correct answer: 3. 100 mm

Explanation: Suction pressure should be kept around 80 mm Hg or 100 cm H2O It should not exceed 100 mm Hg or 130 cm H2O.